Which of the following food components has maximum thermic effect?
1. Carbohydrate
2. Protein
3. Fat
4. All the 3 have equal value

Correct answer: 2. Protein

Explanation: Thermic effect (specific dynamic action) is highest for protein. It indicates energy expenditure above resting metabolic energy.